Which of the following is associated with the least mortality in a pregnant woman?
1. Pulmonary hypertension
2. Coarctation of aorta
3. Marfan's syndrome
4. Acyanotic heart disease

Correct answer: 4. Acyanotic heart disease

Explanation: Acyanotic heart disease has a mortality rate of Ref: Karla Philip, 3rd Edition, Page 299.